Yoyo reflux
1. Duplication of ureter
2. Polycystic Kidney
3. Mellutary sponge Kidney
4. Pseudo kidney

Correct answer: 1. Duplication of ureter

Explanation: Answer- A. Duplication of ureterReflux of the urine from one limb of the collecting system to the other limb, rather than down towards the bladder is called yo-yo reflux (saddle reflux)Cause : Duplication of ureters, partial duplication ofureters, duplicate renal pelvis